A patient with human immunodeficiency virus (HIV) infection has progressed to developing AIDS (clinical category C). Which of the following conditions is considered an AIDS-defining illness?
1. antibodies to HIV
2. palpable lymphadenopathy
3. Kaposi sarcoma
4. oral candidiasis (thrush)

Correct answer: 3. Kaposi sarcoma

Explanation: The current case definition of AIDS in a patient with HIV infection is done by symptoms and CD4+ T-lymphocyte cell count. Any category C symptoms (e.g., cervical cancer, mycobacterium avium infection, CMV, retinitis, Kaposi sarcoma, etc.) indicates frank AIDS as does a CD4+ T-cell count <200/mL regardless of symptoms. Shingles and thrush are category B symptoms.